All are features of Nephrotic syndrome except-
1. RBC casts in urine
2. Hypo-proteinemia
3. Oedema
4. Hyperlipidemia

Correct answer: 1. RBC casts in urine

Explanation: NEPHROTIC SYNDROME - proteinuria->3.5g/day-Hypoalbuminemia Oedema-due to sodium and water retention . Hyperlipidemia-due to increased hepatic lipoprotein synthesis to increase plasma oncotic pressure(which is decreased due to proteinuria) Hypercoagubale state Hypertension and minimal hematuria Rbc casts are seen in Glomerulonephritis Vasculitus Malignant hypertension Thrombotic microangiopathy Ref:Harrison 20 th edition pg. No. 293,2142.